The antihypertensive agent that should be avoided in young females and is used topically to treat alopecia is:
1. Hydralazine
2. Prazosin
3. Minoxidil
4. Indapamide

Correct answer: 3. Minoxidil

Explanation: Minoxidil is a powerful vasodilator Active metabolite of minoxidil is an opener of ATP sensitive K channels; causes vasodilatation by hyperpolarizing smooth muscle. Minoxidil is avoided in young females because it causes Hirsutism. Drugs causing Hirsutism: Phenytoin Cyclosporine Minoxidil USE OF MINOXIDIL IN ALOPECIA - Hirsutism was observed as side effect of oral minoxidil. Applied topically it promotes hair growth in male pattern baldness and in alopecia areata.